Which of the following clinical findings favors Thrombotic thrombocytopenic purpura in pregnancy
1. Mild DIC
2. Marked elevation of transaminases
3. Severe hemolysis
4. Moderate thrombocytopenia

Correct answer: 3. Severe hemolysis

Explanation: TTP → is pentad of:
→ Thrombocytopenia
→ Fever 
→ Neurological abnormalities
→ Renal impairment
→ Hemolytic anemia
In thrombotic microangiopathy (like TTP, HUS), Hemolysis is severe, and thrombocytopenia is also severe.